A 25-yr man C/O recurrent episodes of flexural eczema, contact urticaria, recurrent skin infections & severe abdominal cramps & diarrhea upon taking sea foods. He is suffering from:
1. Seborrheic dermatitis
2. Atopic dermatitis
3. Airborne contact dermatitis
4. Nummular dermatitis

Correct answer: 2. Atopic dermatitis

Explanation: Ans. B. Atopic dermatitisAtopic dermatitis is a very common, extremely itchy disorder of unknown cause which characteristically, but not always, affects the face and flexures of infants, children, adolescents and young adults. Foods, inhaled allergens, bacterial infection, reduced humidity; excessive sweating and irritants cart exacerbate pruritus and scratching.